A 50 years old male with type 2 diabetes mellitus is found to have 24 hour urinary albumin of 250 mg. Which of the following drugs may be used to retard progression of renal disease?
1. Hydrochlorthiazide
2. Enalapril
3. Amiloride
4. Aspirin

Correct answer: 2. Enalapril

Explanation: Ans. (B) Enalapril(Ref: Katzung 10/e p281; KDT 8th/e p532, 535)ACE inhibitors can retard the progression of diabetic complications like nephropathy, neuropathy and retinopathy.